IPC code related to age for valid consent is?
1. 85
2. 86
3. 87
4. 88

Correct answer: 3. 87

Explanation: Ans. is 'c' i.e., 87o Section 87 of the IPC says that a person above 18 years of age can give valid consent and Section 89 of the IPC says that a child under 12 years of age cannot give a valid consent.Other optionso 85 and 86 I PCs are related to drunkenness and criminal responsibility.o 88 IPC: Act not intended to cause death, but can cause death or grievous hurt, done by consent in good faith and for the benefit of that person, e.g., death of a patient caused by surgery done by a surgeon.